Infraclavicular lesion of tuberculosis is known as -
1. Ghon 'S focus
2. Puhl's focus
3. Assman's focus
4. none

Correct answer: 3. Assman's focus

Explanation: Assman focus: Infraclavicular lesion of tuberculosis. Healed calcified caseous nodule of tuberculosis at the apex of the lung. Rich focus: Tuberculosis granuloma occurring on the cortex of the brain that ruptures into the subarachnoid space. Simmons focus: Healed foci of TB in the liver Weiga focus: Healed foci of TB in the intima of blood vessels. Ref :Exam preparatory manual for undergraduates -General and Systemic Pathology(Ramdas Nayak) page no.339